Follicular carcinoma of thyroid is due to mutation of:-
1. RAS
2. HGF
3. RET
4. ABL

Correct answer: 1. RAS

Explanation: Genes implicated in FCT; p53, PTEN, RAS, PAX8/PPAR .